Ligature mark is horizontal commonly in:
1. Hanging
2. Strangulation
3. Both of the above
4. None of the above

Correct answer: 2. Strangulation

Explanation: FEATURES HANGING LIGATURE STRANGULATION Mechanism Constriction of neck with suspension of body Constriction of neck without suspension of body Manner (usually) SuicidalQ HomicidalQ Signs of struggle Absent Present Ligature mark Above thyroid cartilageQ Incomplete Q Oblique Q Subcutaneous tissues under the mark reveals pale, white, glistening, hard skin Below thyroid cartilage Complete Q Transverse Q Subcutaneous tissues under the mark reveals ecchymosis. Hyoid fracture Common (>40 years) Q Uncommon Thyroid fracture Uncommon Common Q External signs of asphyxia External signs of asphyxia More marked Face Pale Congested Bleeding from nose & mouth Less common More common Carotid Intimal Tear Present Q Absent Involuntary discharge of urine & stools Less common More common Seminal fluid At glans is more common Q Less common